Which gas is most commonly used in laparoscopy:
1. O2
2. CO2
3. N2O
4. N2

Correct answer: 2. CO2

Explanation: Ans. is 'b' CO2